Granuloma is pathological feature of all of the following types of vasculitis, EXCEPT:
1. Giant cell arteritis
2. Microscopic polyangiitis
3. Wegener's granulomatosis
4. Churg strauss disease

Correct answer: 2. Microscopic polyangiitis

Explanation: In microscopic polyangiitis, granulomas does not appear. Histologically it is characterized by the presence of segmental fibrinoid necrosis initially associated with neutrophilic infiltration and followed by monocyte, macrophage and lymphocyte. Giant cell arteritis is a focal, chronic, granulomatous inflammation found in temporal arteries. Microscopically there is granulomatous inflammation of the adventitia, media, and intima consisting of aggregates of macrophage, lymphocytes and plasma cells with varying mixtures of eosinophils and neutrophils. Churg Strauss syndrome is a small vessel vasculitis which occur in young patients and is characterized by asthma and eosinophilia. Pathology shows granulomatous lesions with intensely eosinophilic infiltrates in and around blood vessels. Wegener's granulomatosis is a systemic necrotizing vasculitis of unknown etiology characterized by granulomatous lesions of the nose, sinuses and lungs and renal glomerular disease. Ref: Essentials of Rubin's Pathology By Howard Reisner page 270-4.